All are true about campylobacter jejuni except.
1. Gram negative
2. Gull wing shaped bacteria
3. Warthin starry silver stain is used to demonstrate
4. Erythromycin is DOC

Correct answer: 3. Warthin starry silver stain is used to demonstrate

Explanation: Warthin starry silver stain is used for H.pylori.
Skirrow's media is used in Campylobacter jejuni.